Which of the following is a denaturing substance?
1. Guanosine
2. Guanidine
3. Glutamate
4. Glycine

Correct answer: 2. Guanidine

Explanation: B i.e. Guanidine